Best method of preventing transmission of MRSA infection is
1. Hand wash
2. Antibiotics
3. Disinfecting surfaces
4. Fumigation of the ward

Correct answer: 1. Hand wash

Explanation: Measures for the control of staphylococcal infections in hospitals:*Isolation of patients with open staphylococcal lesion*Detection of staphylococcal lesions among doctors and health care workers*Hand washing is the oldest, simplest and most effective method of preventing MRSA and other cross infections.*Following strict aseptic precautions (Ref: Ananthanarayan 9th edition, p204)